What is medial most in femoral triangle?
1. Vein
2. Artery
3. Nerve
4. Lymphatics

Correct answer: 4. Lymphatics

Explanation: FEMORAL SHEATH Funnel-shaped sleeve of fascia enclosing upper 3-4cm of femoral vessels.Anterior wall of sheath formed from fascia transversalis.Posterior wall formed by fascia iliaca.Inferiorly the sheath merges with the connective tissue around femoral vessels.The femoral sheath is asymmetrical. Its lateral wall is vertical, and medial wall is oblique. Sheath is divided into 3 compartments.1.Lateral/arterial compartment: femoral artery and femoral branch of genitofemoral nerve.2.Intermediate/venous compartment:femoral vein.3.Medial/lymphatic compartment:Also known as femoral canal.Contents:1. Lymph node of Cloquet / Rosenmuller. The lymph node drains glans penis in males and clitoris in females.2. Lymphatics 3. Areolar tissue. {Reference: BDC 9E}